A temporary, provisional view held by the people on a point of view is:
1. Opinion
2. Practice
3. Attitude
4. Belief

Correct answer: 1. Opinion

Explanation: Ans is 'a' i.e. Opinion Ref: Park 20/e p589, 19/e p541 See explanation of the previous questionSome students are of the opinion that the question was- "A probability that one holds that a relationship may be true is? Options are the same. " Frankly we don 7 know the answer. If anyone has any clue, please mail us.